The ratio of the incidence of the disease among exposed and the incidence among non-exposed is called
1. Odds ratio
2. Relative risk
3. Attributable risk
4. None of the above

Correct answer: 2. Relative risk

Explanation: "Relative risk" (RR) or risk ratio is defined as the ratio between the incidence of disease among exposed persons and incidence among the non exposed.Incidence among exposedIQ = --------------------------------------------- x 100Incidence among non-exposedThe case-control study cannot give relative risk but from the case-control study, we can derive odds ratio.